DNA foot printing is used to detect
1. Single nucleotide polymorphisms
2. Variable number of tandem repeats
3. Parent of origin of the child
4. DNA-protein interaction

Correct answer: 4. DNA-protein interaction

Explanation: Techniques of detection of DNA-Protein interaction : DNA footprinting Yeast one-hybrid system Electrophoretic mobility shift assay (EMSA)